Uncomplicated shoulder dislocation most commonly occurs in the following direction
1. Anterior
2. Posterior
3. Superior
4. Medially

Correct answer: 1. Anterior

Explanation: Anterior dislocation of shoulder is the most common type of shoulder dislocation Subcoracoid type of dislocation is the most common anterior dislocation Refer Maheshwari 9th ed p 89